Alio graft is between -
1. Individuals of same genetic constitution
2. Individuals of same species with different genetic identity
3. Twins
4. Members of different species

Correct answer: 2. Individuals of same species with different genetic identity

Explanation: Ans. is `b' i.e., Individuals of same species with different genetic identity Terminology of grafts : Donor Name Synonyms Self Different individual, genetically identical with recipient. (Identical twin or member of same inbred strain) Genetically unrelated member of same species Different, speciesAutograft Autogenous or autogenic graft. Isograft Isologous or syngeneric graft or syngraft Allograft Allogenic graft. Formerly called homograft Xenograft Xenograft, Formerly called heterograft o Orthoptic graft Graft applied in anatomically normal site eg. skin graft. o Heterotopic graft -3 Graft applied in anatomically abnormal site.